Which of the following statements about stavudine is accurate
1. Bone marrow suppression is done limiting limiting
2. It causes marked neurotoxicity
3. It inhibits HIV protease
4. It is non nucleoside reverse transcriptase inhibitors

Correct answer: 2. It causes marked neurotoxicity

Explanation: Ref-KDT 6/e p771 Stavudine is an nRT NRTI that is responsible for maximum peripheral neuropathy